Spinal part of accessory nerve supplies -
1. Platysma
2. Sternocleidomastoid
3. Stylohyoid
4. Diagastric

Correct answer: 2. Sternocleidomastoid

Explanation: Ans. is 'b' i.e., Sternocleidomastoid o Accessory nerve (eleventh cranial nerve) has two rootsy cranial and spinal.o Spinal accessory supplies :SternocleidomastoidTrapeziuso Follow ing are the 2 parts of the accessory nerve with their distribution:I Spinal part1 Sternocleidomastoid2. TrapeziusIICranial partMuscles of the pharynx except stvlopharyngeus which is supplied by the glossopharyngeal nerveMuscles of the palate except tensor veli palatini which is supplied by the mandibular division of the trigeminal nerve.o All muscles of the tongue are supplied by the hypoglossal nerve except palatoglossus which is supplied by the accessory nerve.